Side effects of oral contraceptives are all EXCEPT:
1. Irregular bleeding
2. Headache
3. Thrombosis
4. Increased risk of ovarian cancer

Correct answer: 4. Increased risk of ovarian cancer

Explanation: Irregular bleeding or amenorrhoea can occur if oral contraceptives are given continuously. Estrogen can cause headache, thrombosis and endometrial carcinoma. OCP decrease the risk of ovarian cancer (REF.Essentials of Pharmacology TD TRIPATHI 6th EDITION page no 309)